Effect of cholecystokinin on GIT ?
1. Increases gastric acid secretion
2. Increases small intestinal peristlasis
3. Increases gastric motility
4. Relaxes gall bladder

Correct answer: 2. Increases small intestinal peristlasis

Explanation: Ans. is 'b' i.e., Increases small intestinal peristalsis